Which of the following dust exposure has been linked to the development of mesothelioma?
1. Asbestos
2. Barium
3. Silica
4. Cotton

Correct answer: 1. Asbestos

Explanation: Ans. is 'a' i.e., Asbestos * Asbestos exposure can cause lung cancer (most common neoplasm associated with asbestos); mesothelioma of pleural peritoneum (most specific neoplasm associated with asbestos); laryngeal carcinoma, colon carcinoma and stomach adenocarcinoma.* Simian virus 40 (SV 40) viral DNA has also been associated with malignant mesothelioma